Which of the following inhibitors of protein synthesis is primarily Bactericidal?
1. Aminoglycosides
2. Cephalosporins
3. Tetracyclines
4. Chloramphenicol

Correct answer: 1. Aminoglycosides

Explanation: Aminoglycosides exert a bactericidal action by entering the bacterial cell and inhibiting protein synthesis. Classification of Antibiotics based on Mode of Action (Bactericidal vs bacteriostatic) Bactericidal Bacteriostatic Inhibition of cel wall synthesis Penicillin and semisynthetic penicillins Cephalosporins Carbepenem Vancomycin Daptomycin Aztreonam Fosfomycin Bacitracin (also disrupts cell membrane) Inhibition of protein synthesis Chloramphenicol Tetracyclines Tigecycline Linezolid Ketolides (Telithromycin) Erythromycin and other macrolides Clindamycin Streptogramins Mupirocin Inhibition of enzyme activity Sulfonamides Trimethoprim Erythromycin, other macrolides and Clindamycin Erythromycin, other macrolides and clindamycin and are usually Bacteriostatic but may be bactericidal at higher concentrations. These agents are bacteriostatic or bacteriocidal, depending upon drug concentration and bactericidal species. Streptogramins: By themselves, streptogramins A and B are bacteriostatic. However, when used in conjunction with one another, the streptogramins can inhibit bacterial growth and are bactericidal. Mupirocin: Mupirocin is bacteriostatic at low concentration and bacteriocidal at high concentration. Ref: Goodman and Gilman 13th edition Pgno: 1049